Comment on the diagnosis based on spirometry report TLC= 75% FRC= 100% RV = 120 % FEV1 = 60% DLco = 80%
1. Acute asthma
2. Emphysema
3. Pulmonary fibrosis
4. Myasthenia gravis

Correct answer: 4. Myasthenia gravis

Explanation: Acute asthma and Emphysema- TLC| due to air trapping Pulmonary Fibrosis - TLC| RV| Myasthenia Gravis - TLC| RV| Extraparenchymal Restrictive Lung Disease